A child at the age of 7 years has how many teeth:
1. 16
2. 20
3. 24
4. 28

Correct answer: 3. 24

Explanation: C i.e. 24